The monsaccharide glucose is best described by which one of the following  statements?
1. It usually exists in the furanose form
2. It is a ketose
3. It possesses an anomeric C-2 carbon atom
4. It forms part of the disaccharide sucrose

Correct answer: 4. It forms part of the disaccharide sucrose

Explanation: Two monosaccharide units are linked by a glycosidic bond or yield 2 monosaccharide units on hydrolysis. Depending on their reducing property, they are divided into:

Nonreducing disaccharides: The functional groups are involved in the glycosidic bond formation, hence free functional groups are not available
Reducing disaccharides: Free functional groups are available.

Key Concept:

Glucose forms part of sucrose and is attached to fructose to form disaccharide i.e.,sucrose.